Vasanthi 45 years, was brought to casualty with abnormal movements which included persistent deviation of neck to right side one day before she was prescribed 1=laloperidol 5 mg three times daily from the psychiatry OPD. She also had an altercation with her husband recently. Which of the following is the most likely cause for her symptoms-
1. Acute drug dystonia
2. Conversion reaction
3. Acute psychosis
4. Cerebrovascular accident

Correct answer: 1. Acute drug dystonia

Explanation: Persistent deviation of the neck (Torticollis) after one day of taking haloperidol is a feature of acute muscular dystonia (acute drug dystonia).